Metachromatic granules are seen in
1. Corynebacterium
2. Clostridium
3. Chlamydia
4. Mycoplasma

Correct answer: 1. Corynebacterium

Explanation: Metachromatic granules (Volutin, Babes Ernst, polar bodies) are present in Corynebacterium. These granules act as energy stores and are made of polymetaphosphate. Present more at the poles. Are more gram positive than the cytoplasm on Gram staining. These granules are stained by toluidine blue in Albert/Neisser/Ponder stain.